What is the use of Ballard's scoring system in newborn babies?
1. Assessment of gestational age
2. Assessment of birth weight
3. Prediction of neonatal death
4. Screening for sepsis

Correct answer: 1. Assessment of gestational age

Explanation: Ballard's scoring system in newborn babies is used for assessment of gestational age It is based on neuromuscular criteria and physical criteria for maturity It is accurate to +-2 weeks